Thymic hypoplasia is:
1. Wiskott Aldrich syndrome
2. Henoch Schonlein disease
3. Digeorge syndrome
4. Bloom syndrome

Correct answer: 3. Digeorge syndrome

Explanation: DiGeorge Syndrome (Thymic Hypoplasia) DiGeorge syndrome is caused by a congenital defect in thymic development resulting in deficient T-cell maturation. The disorder is a consequence of a developmental malformation affecting the third and fourth pharyngeal pouches, structures that give rise to the thymus, parathyroid glands, and portions of the face and aortic arch.